An 8 years old child is having sore throat with grey-white membrane in throat. Throat swab culture is showing following growth. The causative organism is-
1. Streptococcus pyogenes
2. H. influenzae
3. Corynebacterium
4. None

Correct answer: 3. Corynebacterium

Explanation: Ans. is 'c' i.e., Corynebacterium * Grey-white membrane in throat and block colonies on tellurite agar suggest the diagnosis of Diphtheria, caused by Corynebacterium diphtheriae.